For diatoms test the best site for taking sample is
1. Lungs
2. Bone marrow in Ulna
3. Bone marrow in femur
4. Muscle

Correct answer: 3. Bone marrow in femur

Explanation: C i.e. Bone marrow in femur